Largest pathogenic Bacillus organism is -
1. Bacillum subtilis
2. Bacillum cereus
3. Bacillum anthrocis
4. Bacillum megaterism

Correct answer: 3. Bacillum anthrocis

Explanation: The anthrax bacillus is one of the largest of pathogenic bacteria measuring 3-10 x 1-16 um. It resembles a Bamboo stick appearance Ref: Ananthanarayan & paniker's Textbook of Microbiology 9th edition pg no 244